In a detached retina, the site of detachment is found
1. Within the outer plexiform layer
2. Within the inner plexiform layer
3. Between the inner nuclear layer and the outer nuclear layer
4. Between the pigment epithelial layer and the layer of outer segments of rods and cones

Correct answer: 4. Between the pigment epithelial layer and the layer of outer segments of rods and cones

Explanation: The site of retinal detachment is between the pigment epithelial layer and the layer of outer segments of rods and cones; this corresponds to the intraretinal space between the inner and outer layers of the optic cup. Retinal detachment occurs when fluid from the vitreous compartment passes through a retinal hole and separates the pigment epithelial layer from the layer of outer segments of rods and cones.